Lactic acidosis is common in:
1. Metformin
2. Phenformin
3. Repaglinide
4. Rosiglitazone

Correct answer: 2. Phenformin